Who is the chairman of district blindness control society?
1. District collector
2. Programme manager
3. District health officer
4. District eye surgeon

Correct answer: 1. District collector

Explanation: Ans. a. District collector (Ref: Park 23/e p439, 22/e p406; www.nrhmtn.gov.in/dbcs.html)District collector is the chairman of district blindness control society.District Blindness Control Society has been established under the chairmanship of District Collector/Deputy Commissioner. Park 23/e p439District Blindness Control SocietyChairmanDistrict CollectorVice-ChairmanDeputy Director of Health ServicesMember SecretaryChief Ophthalmic Surgeon andDistrict Programme ManagerTechnical AdviserDistrict Ophthalmic Surgeon